Among the given options ; iodinated compound present in maximum concentration in thyroid is
1. Monoiodotyrosine (MIT).
2. Diiodotyrosine (DIT).
3. T3.
4. Reverse T3.

Correct answer: 2. Diiodotyrosine (DIT).

Explanation: THYROID HORMONE SYNTHESIS AND SECRETION
§ Thyroid hormones are synthesized in the colloid, near the apical cell membrane of the follicular cells. Catalyzed by the enzyme thyroidal peroxidase, iodide in the thyroid cell is oxidized to iodine.